Encephalopathy can occur as complication of which vaccine ?
1. OPV
2. Rubella
3. Measles
4. BCG

Correct answer: 3. Measles

Explanation: Ans. is 'c' i.e., Measles